Which of the following is gram negative diplococci:
1. Cornynebacterium Diphtheriae
2. Neisseria Meningitidis
3. Streptococcus pneumoniae
4. Staphylococcus

Correct answer: 2. Neisseria Meningitidis

Explanation: Ans. (b) Neisseria MeningitidisRef: Microbiology by Ananthanarayan and Paniker 8th ed. /224-25MENINGOCOCCI* Meningococci are Gram negative diplococci* Strep. Pneumoniae is a gram positive diplococci.* Corynebacterium Diphtheriae is Gram positive bacillus. They are non-motile, non-sporing and non-acid fast.* Staphylococcus are Gram positive cocci. They are also non-motile, non-spore forming, non-acid fast.